All of the following are known to cause hyperprolactenemia except -
1. Methyldopa
2. Phenothiazines
3. Bromocriptine
4. Betoclopramide

Correct answer: 3. Bromocriptine

Explanation: Question repeatedBromocriptine (INN; trade names Parlodel, Cycloset, Brotin (Pakistan)), an ergoline derivative, is a dopamine agonist that is used in the treatment of pituitary tumors, Parkinson's disease (PD), hyperprolactinaemia, neuroleptic malignant syndrome, and type 2 diabetes